Deficiency of surfactant is seen in –
1. BPD
2. Neonatal asphyxia
3. HMD
4. Anencephaly

Correct answer: 3. HMD